The biochemical changes in established cases of Stein-Leventhal syndrome are as mentioned except:
1. Marked elevation of LH in contrast to FSH
2. Insulin resistance
3. Elevation of plasma testosterone
4. Elevation. in the level of sex hormone binding globulin (SHBG) level

Correct answer: 4. Elevation. in the level of sex hormone binding globulin (SHBG) level

Explanation: In PCOS (stein leventhal syndrome) the levels of SHBG decrease.